About ADH secretion all are true except
1. Secretion increased in early postoperative period.
2. Causes increased permeability of DCT
3. Neurosecretion
4. Level increased by low plasma osmolality

Correct answer: 4. Level increased by low plasma osmolality